Pearl's stain used to demonstrate the following in tissues -
1. Hemosiderin
2. Fat
3. Reticulin
4. Fibrin

Correct answer: 1. Hemosiderin

Explanation: Ans. is 'a' i.e., Hemosiderin o Prussian blue reaction (Perl's iron stain), a stain most commonly used for hemosidem demonstration in tissue sections, imparts blue colour to hemosiderin